IgA nephropathy is characterised by all of the following except
1. Hypertension
2. Hematuria
3. Nephrite syndrome
4. Re Al biopsy having thin basement membrane

Correct answer: 4. Re Al biopsy having thin basement membrane

Explanation: Refer Robbins page no Pg925 Beingn familial hematuria is common hereditary entity manifested clinically by familial asymptomatic hematuria usually uncovered on. Routine urine analysis and morphologically by diffuse thinning of glomerular basement membrane to width between 150 and 225 nm